Enteropeptidase enzyme is secreted by:
1. Stomach
2. Duodenum
3. Jejunum
4. Ileum

Correct answer: 2. Duodenum

Explanation: Most pancreatic enzymes are secreted in precursor form Duodenum produces enterokinase, which converts trypsinogen to Trypsin Trypsin causes catalytic conversion of other pancreatic pro enzymes Enterokinase is released by duodenal mucosa when chyme comes in contact with it PANCREATIC ENZYMES - - For Protein: trypsin, chymotrypsin, carboxypolypeptidase Carbohydrates: pancreatic amylase Fat: pancreatic lipase, cholesterol esterase, phospholipase